The Salivary gland tumor which is associated with smoking
1. Cannicular adenoma
2. Pleomorphic adenoma
3. Warthin tumour
4. Ductal papilloma

Correct answer: 3. Warthin tumour